Which set of arterial blood values describes a heavy smoker who is a COPD patient becoming increasingly somnolent?
1. pH: 7.65; HCO3-: 48meq/L; PCO2: 45mmHg
2. pH: 7.5; HCO3-: 12meq/L; PCO2: 20mmHg
3. pH: 7.4; HCO3-: 18meq/L; PCO2: 40mmHg
4. pH: 7.2; HCO3-: 30meq/L; PCO2: 60mmHg

Correct answer: 4. pH: 7.2; HCO3-: 30meq/L; PCO2: 60mmHg

Explanation: Respiratory acidosis can occur from pathological conditions that damage the respiratory centers or that decrease the ability of the lungs to eliminate CO2. For example, damage to the respiratory center in the medulla oblongata can lead to respiratory acidosis. Also, obstruction of the passageways of the respiratory tract, pneumonia, emphysema, or decreased pulmonary membrane surface area, as well as any factor that interferes with the exchange of gases between the blood and the alveolar air, can cause respiratory acidosis.